Haustrations are found in-
1. Large intestine
2. Duodenum
3. Jejunum
4. Gallbladder

Correct answer: 1. Large intestine

Explanation: Ans. is 'a' i.e., Large intestine * Characterstic features of large intesting are : -i) 3 longitudinal bands, formed by longitudinal muscle coat, called Taeniae coli.ii) Sacculation or haustrationiii) Fat filled peritoneal pouches called appendices epiploicae. These are not found in appendix, caecum, and rectum.iv) Greater part is fixed except for appendix, transverse colon and sigmoid colon.v) Pyere's patches (present in small intestine) are not present.